Earliest Ischaemic feature after reduction of Supra? condylar fracture is
1. Coldness
2. Pain
3. Swelling
4. Tingling

Correct answer: 2. Pain

Explanation: B i.e. Pain